Dose of Vitamin A (I.U) and Vitamin D (I.U) in Dalda is -
1. 1000 & 100
2. 1500 & 125
3. 2000 & 150
4. 2500 & 175

Correct answer: 4. 2500 & 175

Explanation: Food fortification of Dalda Vitamin and Vitamin D in vanaspati Vanaspati is fortified with "2500 IU vitamin A and 175 IU vitamin D" per 100 grams Ref: Park 25th edition Pgno : 694